In Anterior dislocation of shoulder which nerve is commonly affected:
1. Axillary nerve
2. Radial nerve
3. Ulnar nerve
4. Median nerve

Correct answer: 1. Axillary nerve

Explanation: Ans. (a) Axillary nerveRef.: Maheshwari 9th ed. / 91* The shoulder is the most frequently dislocated joint. It moves almost without restriction but pays the price of stability. The shoulders integrity is maintained by the gleno-humeral joint capsule, the cartilaginous glenoid labrum (which extends the shallow glenoid fossa), and muscles of the rotator cuff.* Anterior dislocations occur in as many as 98% of cases. Anterior displacement of the humeral head is the most common dislocation seen by emergency physicians.Shoulders Pathology and Nerve Involved* Ant. Shoulder dislocationAxillary Nerve* Surgical neck humerus Axillary Nerve* Humerus shaft Radial Nerve* Supracondylar Anterior Interosseous Nerve > Median Nerve* Cubitus valgus* Medial condyle humerus Tardy ulnar nerve palsy Ulnar Nerve* An inferior shoulder dislocation is the least common form of shoulder dislocation. The condition is also called luxatio erecta because the arm appears to be permanently held upward or behind the head, in fixed abduction. It is caused by a hyper-abduction of the arm that forces the humeral head against the acromion.